Choking is constricting device within the barrel at the muzzle end of -
1. Revolver
2. 303 rifle
3. Shot gun
4. Semiautomatic pistol

Correct answer: 3. Shot gun

Explanation: Choking is done in shot gun at muzzle end to present dispersions of pellets.